A patient with ear complaints showed positive Hennebert sign. Which of the following condition shows positive Hennebert sign?
1. Meniere's disease
2. Acoustic neuroma
3. Neuronitis
4. Glossopharyngeal neuralgia

Correct answer: 1. Meniere's disease

Explanation: The presence of a fistula is suspected if nystagmus occurs or if the patient perceives movement of a visual target that is fixed after applying positive pressure to the outer ear canal. REF : HAZARIKA 3RD ED.